Not a glycoprotein:
1. FSH
2. LH
3. TSH
4. GH

Correct answer: 4. GH

Explanation: TSH, FSH, LH, hCG  are glycoprotein hormone. GH is a protein hormone.